Severe hereditary spherocytosis is seen due to the defect of the following protein
1. Spectrin
2. Ankyrin
3. Band 3
4. Band 4.2

Correct answer: 1. Spectrin

Explanation: . Spectrin